All of the following are known complications of tuberculous meningitis except –
1. Cranial nerve palsy
2. Cerebral infarction
3. Ptosis
4. Parkinsonism

Correct answer: 4. Parkinsonism

Explanation: Complications of T meningitis 

There may be infarcts in the brain due to vascular occlusion
Various neurological manifestations seen with TBM include :


Hemiplegia (20%), quadriplegia (19%), monoplegia (3%)             o Cranial nerve palsies (14%)


Hemiballismus (11%)         o Decerebrate Rigidity (3%)
Tremors (6.1%)    o Decorticate Rigidity (3%)


Midline cerebellar syndromes (4%)                                                    o Cerebellar Hemispheric Lesions (1.0%)

Ptosis & Ophthalmoplegia are frequent in Coma stage in tuberculous meningitis